Which of the following act through tyrosine kinase receptor?
1. Insulin
2. Glucagon
3. Growth hormone
4. Follicle stimulating hormone

Correct answer: 1. Insulin

Explanation: Insulin act by binding to plasma membrane receptors on the target cellsHas 2 alpha subunit and 2 beta subunitBeta subunit has tyrosine kinase activity Interaction of insulin with receptor alpha subunit triggers a conformational change, which is propagated to the beta subunit and activates itRef: DM Vasudevan, 7th edition, page no: 319